Opsonisation is by -
1. IgA
2. IgE
3. IgG
4. IgM

Correct answer: 3. IgG

Explanation: The process of phagocytosis is further enhanced when microorganisms are coated with specific proteins, opsonins from the serum. Opsonins establish a bond between bacteria and bacteria and the membrane of the phagocytic cell. IgG opsonin is the Fc fragment of immunoglobulin G, it is the naturally occurring antibody in the serum that coats the bacteria while the polymorphonuclear cells popossesseceptors for the same. Reference:arsh moMohanextbook of pathology, 7th edition, pg no:121